Decrease lactation seen in:a) Maternal anxietyb) Antibiotic therapyc) Cracked nippled) Breast abscesse) Bromocriptine therapy
1. bce
2. acde
3. abcd
4. abde

Correct answer: 2. acde

Explanation: Causes of Inadequate Milk Production (Lactation Failure)

Infrequent suckling.
Depression or anxiety state in puerperium
Reluctance or apprehension to nursing.
Poor development of nipples/retracted nipple.
Painful breast lesion viz cracked nipple/ breast abscess.
Endogenous suppression of prolactin.
Prolactin inhibition (ergot preparation, diuretics, pyridoxine, bromocriptine).

Note: Lactation suppressors and galactagogues